A 6-year-old child has a DQ of 50. Which of the following can the child do?
1. Identify colors
2. Read a sentence
3. Ride a bicycle
4. Copy a triangle

Correct answer: 1. Identify colors

Explanation: a. Identify colors(Ref: Nelson's 20/e p 65-77, Ghai 8/e p 52-53)DQ=Developmentalagex100/actualage.In the given question, a 6 year old child has a DQ of 50; so his developmental age is 3 years.So, he can do milestones corresponding to 3 years age only; At 3 years, a child can name 2 colors and at 5 years, 4 colors.